Which drugs are involved in bradycardia algorithm?
1. Atropine, Dopamine, Epinephrine
2. Atropine, norepinephrine, Dopamine
3. Atropine, Isoproterenol, Norepinephrine
4. Atropine, Dobutamine, Amiodarone

Correct answer: 1. Atropine, Dopamine, Epinephrine

Explanation: Management of symptomatic bradycardia : Atropine( First line drug) If patient is still unstable, TCP (Transcutaneous pacing) is recommended In case TCP is not available, two drugs dopamine and epinephrine are recommended If patient is still unstable, transvenous pacing is done.